Champy's mini plate are:
1. Non rigid.
2. Semi rigid.
3. Rigid.
4. None.

Correct answer: 2. Semi rigid.